Herpes simplex virus causes all except -
1. Encephalitis
2. Pharyngitis
3. IMN
4. Whitlow

Correct answer: 3. IMN

Explanation: Infectious mononucleosis is caused by the EB virus. REF:ANANTHANARAYAN AND PANIKER'S TEXTBOOK OF MICROBIOLOGY 9TH EDITION PAGE NO:475